In nephrotic syndrome, which infection is more commoner in children:
1. Cellulitis
2. Pneumonia
3. UTI
4. Bacterial peritonitis

Correct answer: 4. Bacterial peritonitis

Explanation: Ans. D: Bacterial peritonitis